About interferon true is -
1. It is a synthetic antiviral agent
2. Inhibits viral replication in cells
3. Is specific for a particular virus
4. None

Correct answer: 2. Inhibits viral replication in cells

Explanation: interferon any of a group of proteins produced by cells in the body in response to an attack by a virus A cell infected by a virus releases minute amounts of interferons, which attach themselves to neighboring cells,prompting them to start producing their own protective antiviral enzymes. The result is impairment of the growth and replication of the attacking virus. ref: Ganong's Review of Medical physiology; 24th edition; page no:54